Mr. Surya Kant was prescribed a first generation H1 antihistaminic drug. He should be advised to avoid :
1. Driving motor vehicles
2. Consuming processed cheese
3. Strenuous physical exertion
4. All of the above

Correct answer: 1. Driving motor vehicles

Explanation: The first generation antihistaminic agents cause sedation and impairment of psychomotor function.